Most common site of skeletal tuberculosis is
1. Hip
2. Knee
3. Spine
4. Calvarium

Correct answer: 3. Spine

Explanation: (C) Spine # Spine is the most common site of bone and joint TB especially Dorso -- lumbar spine.> Most common long bone affected by T.B -- Tibia.> Most common joint affected by T.B -- Hip joint arthritis> Most common synovium affected by T.B -- knee joint synovitis.